True about exotoxin -
1. Non-antigenic
2. Enzymatic
3. Non-protein
4. Heat stable

Correct answer: 2. Enzymatic

Explanation: Ans. is 'b' i.e., Enzymatic Distinguishing feature of Exotoxins and endotoxinsExotoxinsEndotoxinso Proteinso Heat labileo Secreted by cellso Action enzymico Active in minute doseo Highly antigenico Action specifically neutralised by antibodyo Specific pharmacologic effect for each toxino Can be toxoidedo Upopolysaccharideo Heat stableo Forms part of cell wrallo No enzy mic actiono Active only in large doseo Weakly antigenico Neutralisation of antibody ineffectiveo Effect nonspecifico Cannot be toxoided